Most common splanchnic aneurysm :
1. Splenic artery
2. Hepatic artery
3. Gastroduodenal artery
4. Superior mesenteric artery

Correct answer: 1. Splenic artery

Explanation: Superior Artery Aneurysms MC site of Intra-abdominal aneurysm : Aorta > Splenic artery MC causes: Arteriosclerosis Usually saccular, multiple aneurysm is 20% Calcification is present in one-third, and mostly situated in the distal third of the splenic artery Four times more common in women (possible factors include multipay, portal hypertension, arterial fibrodysplasia, pancreatitis, and less commonly, trauma, arteritis and septic embolic Aneurysmal rupture in pregnancy usually occurs during the third trimester Factors increasing the risk of rupture Young age Presence of hypertension Absence of aneurysmal calcification Aneurysm diameter >1.5 cm Management : Documented aneurysmal enlargement and symptoms caused by aneurysm are indications of operation An aneurysm detected in a female who anticipate pregnancy should be removed and one detected during pregnancy should be removed before the third trimester Proximal aneurysm are excised after proximal and distal ligations Mid-splenic aneurysms are excluded by proximal and distal ligations of splenic artery and all collateral vessels Distal or hilar aneurysms is the most common and is treated with aneurysmectomy and splenectomy Ref :Sabiston 20th edition Pgno : 1788